A male did not have alcohol for 2 days presented with seizures treatment given:
1. Diazepam
2. Phenobarbital
3. Disulfiram
4. Thiamine

Correct answer: 1. Diazepam

Explanation: Ans. Diazepam